All are true for nephrotic syndrome except:
1. Edema
2. Massive proteinuria
3. Hyperlipidemia
4. Hypertension

Correct answer: 4. Hypertension

Explanation: Ans: D i.e. Hypertension The nephrotic syndrome, also due to glomerular disease, is characterized by heavy proteinuria (more than 3.5 gm/ day), hypoalbuminemia, sever edema, hyperlipidemia, and lipiduria (lipid in the urine) Nephritic syndrome is due to glomerular disease and is dominated by the acute onset of usually grossly visible hematuria (RBC in urine), mild to moderate proteinuria, and hypertension; it is the classic presentation of the post-streptococcal glomerulonephritis